A female presented with irritation of both eyes. She also complained about collection of diy-white foamy discharge at the angles of the eyes along with redness in the angles. Examination reveals angular conjunctivitis. Causative organism of this condition is:
1. Moraxella Axenfeld bacillus
2. Pneumococci
3. Gonococci
4. Adenovirus

Correct answer: 1. Moraxella Axenfeld bacillus

Explanation: Angular conjunctivitis is a type of chronic conjunctivitis characterized by mild grade inflammation confined to the conjunctiva and lid margins near the angles associated with maceration of the surrounding skin. Moraxella Axenfeld is the commonest causative organism. MA bacilli are placed end to end, so the disease is called 'diplobacillary conjunctivitis'. Rarely, staphylococci are also cause angular conjunctivitis. Ref: Comprehensive Ophthalmology by AK Khurana, 4th edition, Page 61.